Which of the following can not be diagnosed on direct ophthalmoscopy
1. Diabetic retinopathy
2. Retinitis pigmentosa
3. Angle recession
4. papilledema

Correct answer: 3. Angle recession

Explanation: Angle recession cannot be diagnosed by direct ophthalmoscopy Diseases that can be diagnosed by Direct Ophthalmoscope Location of cataract (distant direct ophthalmoscopy) Diabetic retinopathy Hypertensive retinopathy Age-related macular degeneration Fundus dystrophies Optic neuritis Papilledema Glaucoma Comprehensive Ophthalmology, 6th edition, A K Khurana, Pg 590